HLA-B51 is associated with which disease
1. Lupus vulgaris
2. Psoriasis
3. Behcet disease
4. None of the above

Correct answer: 3. Behcet disease

Explanation: MHC-associated diseases # Lupus (SCLE and SLE): HLA-DR3 # Psoriasis: HLA-Cw6 (most linked to psoriasis), B17 and B13 (guttate psoriasis), and B27 (psoriatic arthritis) # Reactive arthritis: HLA-B27 # Behcet's disease: HLA-B51 # Chronic idiopathic urticaria: HLA-DR4, HLA-DRB4, and HLA-DQ8 # Pemphigoid gestationis: HLA-DR3 and HLA-DR4 # Pemphigus vulgaris: HLA-DR4 and DRw6 # Dermatitis herpetiformis: Class I: HLA-A1 and HLA-B8; Class II: HLA-DR3 and HLA-DQ2 # Lichen planus: Class I: HLA-B57 and HLA-B8; Class II: HLA-DR1 and DR10 # Vitiligo: Class I: HLA-A33 and HLA-B13; Class II: HLA-B44, HLA-DRB1, and HLA-DR4. Ref:- Review of Dermatology by Alikhan; pg num:-25